Which single factor could contribute most of the
development of simple gingivitis in children?
1. High fever
2. Poor oral hygiene
3. Oral habits
4. Physical nature of food ingested

Correct answer: 2. Poor oral hygiene